Most radiosensitive brain tumor is:
1. Ependymoma
2. Medduloblastoma
3. Glioblastoma multiforme
4. Astrocytoma

Correct answer: 2. Medduloblastoma

Explanation: Answer is B (Medulloblastomas): Medulloblastomas are highly radiosensitive tumors of the Central Nervous system and more radiosensitive than all gliomas (Astrocytoma, Eperdymoma, Glioblastoma Multiforme) `Medulloblastoma is the most radiosensitive of all gliomas whereas Glioblastomas are the least radiosensitive' - Current Guidelines for Management of Cancer (1986)/289 NOTE Medulloblastoma were originally classified as `gliomas' but they are now classified as primitive neuroectodermal Tumors (PNET) Radiosensitive Brain Tumors in Children Medulloblastomas and other PNET (Most radiosensitive) Gliomas (low grade astrocytoma), ependymomu Pineal blastoma Craniopharygnioma Germ cell tumors (pure germinoma-highly radiosensitive)